According to FIGO staging, Women diagnosed with choriocarcinoma with metastasis to lungs will be staged under
1. Stage I
2. Stage II
3. Stage III
4. Stage IV

Correct answer: 3. Stage III

Explanation: Anatomical stagingStage IGTN confined to the uterusStage IIGTN extends outside of the uterus but is limited to the genital structures Stage IIIGTN extends to the lungs, with or without genital tract involvementStage IVDistant metastasisReference: William's Obstetrics; 25th edition, chapter 20; Gestational trophoblastic diseases